Temporal lobe tumors may produce
1. Crossed upper Quadrantanopia
2. Uncrossed upper Quadrantanopia
3. Crossed lower Quadrantanopia
4. Uncrossed lower Quadrantanopia

Correct answer: 1. Crossed upper Quadrantanopia